Orchidopexy is done in cases of undescended testes at the age of
1. Infancy
2. 1-2 yrs
3. 5 yrs
4. Puberty

Correct answer: 1. Infancy

Explanation: Ans. is 'a' i.e. Infancy Campbell's Urology writes - "Definitive treatment of an undescended testis should take place between 6 and 12 months of age. Because spontaneous descent occurs in most boys by 3 months of age and uncommonly thereafter, earlier interventions should be considered in order to theoretically prevent the complication of cryptorchidism that may be manifested before 1 yr. of age".